All of the following drugs are used as immunosuppressants except -
1. Glucocorticoids
2. Cyclosporin
3. Cephalosporin
4. Azathioprine

Correct answer: 3. Cephalosporin

Explanation: Ans. is 'c' i.e., Cephalosporin Immunosuppressant drugs:-These are drugs which inhibit cellular / humoral or both immune response.They have their major use in organ transplantation and autoimmune disease.These drugs are:ImmunosuppresantsCalcineurin inhibitors(specific T cell inhibitors)Antiproliferative drugs(cytotoxic drugs)GlococorticoidsAntibodiesCyclosporineTacrolimusAzathioprineCyclophosphamideMethotrexateChlorambucilMycophenolateMofetilPrednisolone & othersMuromonab CD3Antithymocyte globulin(ATG)Rho (D) immunoglobulin